In a child with cardiopulmonary arrest, intraosseous access should be attempted, if venous access is not available within:
1. 1 minute
2. 2 minutes
3. 3 minutes
4. 5 minutes

Correct answer: 1. 1 minute

Explanation: a. 1 minute(Ref: Nelson's 20/e p 523-528, Ghai 8/e p 715-718)If venous access is not available within 1 minute in a child with cardiopulmonary arrest, an IO needle should be placed in anterior proximal tibia